As per Chadah committee recommendations there should be 1 Basic Health worker per _____ population?
1. 3000
2. 5000
3. 10000
4. 20000

Correct answer: 3. 10000

Explanation: The Committee also recommended that the vigilance operations through monthly home visits should be implemented through basic health workers. One basic health worker per 10,000 populationwas recommended. These workers were envisaged as "multipurpose" workers to look after additional duties of collection of vital statistics and family planning, in addition to malaria vigilance. The Family Planning Health Assistants were to supervise 3 or 4 of these basic health workers. At the district level, the general health services were to take the responsibility for the maintenance phase.